AFP is raised in all except :
1. Polycystic kidney
2. Trisomy
3. IUD
4. Oesophageal atresia

Correct answer: 2. Trisomy

Explanation: Ans. is b i.e. Trisomy As we have discussed earlier -- AFP levels are raised in : Under estimated gestational age Decreased liqour Decreased birth weight of infant and decreased maternal weight IUD Multi fetal pregnancy (The amount of AFP entering the maternal circulation is proportional to the number of fetuses). Detects which permit more release of AFP into maternal serum -- Neural tube defects -- Abdominal wall defects : - omphalocele - gastroschisis -- Pilonidal cysts -- Congenital skin defects Maternal causes : -- Preeclampsia Maternal hepatoma. Teratoma, Endodermal sinus tumor Placental causes : - Chorioangioma of placenta - Placenta accreta - Abruptio placentae For other casues of increased AFP which are difficult to remember : Mnemonic - CLEAN Internal OS C Cystic hygroma L Liver necrosis E Exstrophy of cloaca A Atresia of Oesophagus/intestine N Congenital Nephrosis and other disorders of kidney like Polycystic kidney, Absent kidney Internal - Infection with B19 parvovirus O - Osteogensis imperfecta S - Sacrococcygeal teratoma